Enophthalmos caused by fracture of ?
1. Floor of orbit
2. Medial wall of orbit
3. Lateral wall of orbit
4. Roof of orbit

Correct answer: 1. Floor of orbit

Explanation: Ans. is 'a' i.e., Floor of orbit Post traumatic enophthalmos is caused by blow out fracture through the floor of orbit. ENOPHTHALMOS It is the inward displacement of the eyeball. About 50 percent cases of mild enophthalmos are misdiagnosed as having ipsilateral ptosis or contralateral proptosis. Common causes are :? Congenital. Microphthalmos and maxillary hypoplasia. Traumatic, Blow out fractures of floor of the orbit. Post-inflammatory. Cicatrization of extraocular muscles as in the pseudotumour syndromes. Paralytic enophthalmos. It is seen in Horner's syndrome (due to paralysis of cervical sympathetics). Atrophy of orbital contents. Senile atrophy of orbital fat, atrophy due to irradiation of malignant tumour, following cicatrizing metastatic carcinoma and due to scleroderma.